The most sensitive and rapid test for diagnosis of CMV retinitis is -
1. Viral isolation from the intraocular fluid
2. Nucleic acid detection from the intraocular fluid
3. Viral antigen detection in vitreous
4. Viral antibody detection in the blood by ELISA

Correct answer: 2. Nucleic acid detection from the intraocular fluid